The total fluid secreted by the salivary gland, stomach, and intestine in a day is
1. 3000ml
2. 4000ml
3. 5000ml
4. 6000ml

Correct answer: 3. 5000ml

Explanation: Daily water turnover in the GITIngested2000Endogenous secretions7000Salivary glands1500Stomach2500Bile500Pancreas1500Intestine1000Total Input9000Reabsorbed8800Jejunum5500Ileum2000Colon1300Balance in stool200Reference: Ganong's review of Medical Physiology, 25th ed, Page: 464